Nasopharyngeal Ca causes deafness by:
1. Temporal bone metastasis
2. Middle ear infiltration
3. Serous effusion
4. Radiation therapy

Correct answer: 3. Serous effusion

Explanation: Nasopharyngeal carcinoma spreads to Eustachian tube, blocks it and causes Serous Otitis Media which in turn causes Conductive hearing loss.